Which one of the following antibody is produced rapidly and in high amounts during secondary response?
1. IgG
2. IgA
3. IgM
4. IgM and IgG

Correct answer: 1. IgG

Explanation: IgG antibodies are generated following class switching and maturation of the antibody response and thus participate predominantly in the secondary immune response Ref: Ananthanarayan & Panikers textbook of microbiology 9th edition pg:97